For distraction of small bone segments rate of distraction should be?
1. 0.3 to 0.5 mm/day
2. 0.5 to 0.7 mm/day
3. 0.7 to 0.9 mm/day
4. 1.0 mm/day

Correct answer: 2. 0.5 to 0.7 mm/day